Selective alpha 2 agonist is
1. Tizanidine
2. Prazosin
3. Adrenaline
4. Propanolol

Correct answer: 1. Tizanidine

Explanation: Ref: HL Sharma 3rd ed pg no:180 Clonidine, methyldopa, tizanidine, relminidine are central alpha 2 agonists